All of the following drugs are commonly used in regimens against H. pylori, except:
1. Oxytetracycline
2. Amoxicillin
3. Bismuth Subcitrate
4. Omeprazole

Correct answer: 1. Oxytetracycline

Explanation: Oxytetracycline is not an recommended agent but an alternative agent in the treatment of H.pylori infection. Amoxicillin, Bismuth Subcitrate and Omeprazole are recommended agents in the treatment of H.pylori infection. Ref: Harrison Internal Medicine 16th Edition, Page 1754; Davidson's principles and practice of Medicine, 20th Edition, Chapter 22, Page 887 & 888.